Glycated haemoglobin reflects blood glucose of preceding
1. 0-1 week
2. 2-3 week
3. 4-5 week
4. 6-8 week

Correct answer: 4. 6-8 week

Explanation: When blood glucose enters the erythrocytes, it glycates the e-amino group of lysyl residues and the amino terminals of haemoglobin.The fraction of haemoglobin glycated, normally about 5%, is proportionate to blood glucose concentration.Since the half-life of an erythrocyte is typically 60 days, the level of glycated haemoglobin (HbA1c) reflects the mean blood glucose concentration over the preceding 6 to 8 weeks. Measurement of HbA1c, therefore, provides valuable information for management of diabetes mellitus.Reference: Harper biochemistry, 30th edition, page no 58